Snakebite causing hematologic abnormalities:
1. Cobra
2. Krait
3. Viper
4. Sea snake

Correct answer: 3. Viper

Explanation: Ans. Viper